Titanium casting is done:
1. Under vacuum in argon atmosphere
2. Under air pressure in nitrogen atmosphere
3. In specially fabricated aluminum vanadium crucibles
4. Using CAD-CAM technique

Correct answer: 1. Under vacuum in argon atmosphere